Thyroidea ima artery is not a branch of:
1. Brachiocephalic trunk
2. Subclavian artery
3. Vertebral artery
4. Arch of aorta

Correct answer: 3. Vertebral artery

Explanation: - Thyroidea ima artery is an uncommon variant of the blood supply to the inferior aspect of thyroid gland and has a variable origin. - Origin from: Brachiocephalic trunk Right common carotid artery Arch of aorta Subclavian artery Internal Thoracic Artery